A doctor while examining the patient without consent in an emergency is protected under:
1. Sec. 87 IPC
2. Sec. 89 IPC
3. Sec. 90 IPC
4. Sec. 92 IPC

Correct answer: 4. Sec. 92 IPC

Explanation: Ans. Sec. 92 IPC